Wilms tumor has the following markers positive except?
1. Desmin
2. Vimentin
3. TTF-1
4. Cytokeratin

Correct answer: 3. TTF-1

Explanation: Ans. (c) TTF-1Wilm's tumor being mixed tumor has Desmin, Vimentin and Cytokeratin positive. Thyroid transcription factor-1 (TTF-1) is a sensitive marker for pulmonary and thyroid adenocarcinomas